A High Tracing Device is used for
1. Extra oral graphic tracings
2. Intra oral graphic tracings
3. Cephalometric tracings
4. Determining focal forms

Correct answer: 1. Extra oral graphic tracings